Drugs which cause fetal renal anomalies are : a) Enalapril b) Frusemide c) Angiotensin receptor blocker d) Amlodipine e) Phenytoin
1. b
2. ac
3. cd
4. bd

Correct answer: 2. ac